All of the following drugs may be used in the treatment of ulcerative colitis Except:
1. Corticosteroids
2. Azathioprine
3. Sulfasalazine
4. Methotrexate

Correct answer: 4. Methotrexate

Explanation: Answer is D (Methotrexate) Methotrexate has not been shown to be effective fbr treating active ulcerative colitis or for maintaining remission.